Most aggressive variant of ameloblastoma:
1. Granular.
2. Follicular.
3. Plexiform.
4. Acanthomatous.

Correct answer: 1. Granular.